Which of the following is not a test for syphilis:
1. VDRL
2. Frei test
3. TPHA
4. FTA-Abs

Correct answer: 2. Frei test

Explanation: Ans. B: Frei test Frei test is an obsolete intradermal test done for lymphogranuloma venerum